A child has microcephaly, Blue eyes, Fair skin, and Intellectual disability, Ferric chloride test is positive. What is the likely diagnosis -
1. Phenylketonuria (PKU)
2. Homocystinuria
3. Tyrosinosis
4. Alkaptonuria

Correct answer: 1. Phenylketonuria (PKU)

Explanation: Ans. is 'a' i.e., Phenylketonuria Clinical manifestations of phenylketonuria o Normal at birth o Symptoms occur after 1 months - i) Intellectual disability ----> Not present at birth, develops gradually. ii) Neurological signs -4 Irritability, tremors, convulsions, hyperkinesis and muscular hypertonia & Exagerated reflex. iii) Blond hair, blue iris, fair skin. iv) Musty or mousy body odour. v) Vomiting vi) Microcephaly vii) Enamel hypoplasia & Growth retardation